The CT severity index in acute pancreatitis is described by:
1. Balthazar
2. Mengini
3. Chapman
4. Napelon

Correct answer: 1. Balthazar

Explanation: The CT severity index (CTSI)-described by Balthazar Balthazar CT Severity Index CT Grade Score A. Normal- 0 B. Enlarged gland -1 C. Peri-pancreatic inflammation- 2 D. One fluid collection- 3 E. Two or more collections- 4 Necrosis Score 30%-50%- (4) >50% -(6) Ref: ACR Appropriateness Criteria,Acute Pancreatitis.